Abbe-Estlander flap is used in repair of:
1. Breast
2. Lip
3. Esophagus
4. None of the above

Correct answer: 2. Lip

Explanation: The lip-switch (Abbe-Estlander) flap or a stair-step advancement technique can be used to repair defects of either the upper or lower lip. Microstomia is a potential complication with these types of lip reconstruction. Ref: Schwartz's principle of surgery 9th edition, chapter 18